Atrial fibrillation may occur in all of the following conditions, except -
1. Mitral stenosis
2. Hypothyroidism
3. Dilated cardiomyopathy
4. Mitral regurgitation

Correct answer: 2. Hypothyroidism